Anticoagulant not used in vitro is -
1. Heparin
2. Warfarin
3. Oxalate
4. Citrate

Correct answer: 2. Warfarin

Explanation: Ans. is 'b' i.e., Warfarin o Oral anticoagulants have only in vivo action (not in vitro). o Heparin is used both in vivo and in vitro. o Oxalate and citrate are used in vivo.